Dermatitis herpetiformis is associated with:-
1. Tissue transglutaminase 1
2. Transglutaminase 3
3. Tissue transglutaminase 6
4. Tissue transglutaminase 9

Correct answer: 2. Transglutaminase 3

Explanation: Dermatitis herpetiformis is a gluten hypersensitivity condition C/F: lesions mainly over extensors, vesico papule lesions, extremely pruritic-resulting in excoriation marks, some patients might also develop fluid filled lesion DIF Finding: shows granular IgA deposits in the tip of dermal papillae giving picket fence appearance Epidermal transglutaminase (TG3) is the epidermal antigen for IgA deposited in the skin and Tissue transglutaminase (TG2) is the tissue antigen for IgA deposited in the small bowel mucosa which is associated with celiac disease. Initially patients TG2 is targeted later on these patients have skin involvement dermatitis herpetiformis targeting TG3